Dowry death investigation is done by:
1. Magistrate
2. Sub-inspector
3. Police
4. Medical officer

Correct answer: 1. Magistrate

Explanation: Ans. (a) MagistrateRef: The Essentials ofFSM by K.S. Narayan Reddy 31st ed. / 5y 272Inquest: inquiry into the cause of death* Police Inquest# Most common type of inquest in India# Investigating officer usually is sub inspector or officer not below the rank of (senior) head constable.Magistrate Inquest: Court of Trail* Usually conducted by DM, SDM or Executive Magistrate (i.e. collector, Deputy Collector or Tahsildar)* Magistrate inquests are usually done in following circumstances:# Dowry deaths i.e. unnatural deaths within 7 years of marriage# Death in prison# Death in police custody or interrogation or during police firing# Death in any psychiatric hospital* Exhumation i.e. digging out of an already buried body also done upon order of magistrate.Coroner's Inquest: Court of inquiry* Coroner is an advocate, attorney, pleader, or first class magistrate with 5 years experience or metropolitan magistrate* Coroner court is a court of inquiry & accused need not be present.* Coroner court can't impose fine or punishment; but it can punish those guilty of contempt of his court when the offence is committed in the premises of his court (i.e. city limit only)* In India it is practiced only in Mumbai